All the following drugs are mono amino-oxidase inhibitors except
1. Moclobemide
2. Tranylcypromine
3. Selegeline
4. Duloxetine

Correct answer: 4. Duloxetine

Explanation: Duloxetine is antidepressant - SNRI- Serotonin-norepinephrine reuptake inhibitorRef: Katzung 13th ed. Pg 528